The Halstead Reitan battery involves all except :(
1. Finger oscillation
2. Constructional praxis
3. Rhythm
4. Tactual performance

Correct answer: 2. Constructional praxis

Explanation: B i.e. Constructional Praxis